The corduroy sign refers to
1. Vertically oriented thickened trabeculae in hemangioma
2. Horizontally oriented thickened trabeculae in hemangioma
3. Vertically oriented thickened trabeculae in chordoma
4. Horizontally oriented thickened trabeculae in chordoma

Correct answer: 1. Vertically oriented thickened trabeculae in hemangioma

Explanation: The corduroy sign refers to vertically-oriented, thickened trabeculae seen in intraosseous haemangiomas of the spine. It is the sagittal/coronal equivalent of the polka-dot sign seen on axial imaging. It is caused by the replacement of the normal cancellous bone by thickened vertical trabeculae surrounded by fat marrow or vascular lacunae in intraosseous haemangiomas.